Which of the following does NOT stimulate peripheral chemoreceptors:
1. Hypoxia
2. Hypocapnia
3. Acidosis
4. Low perfusion pressure

Correct answer: 2. Hypocapnia

Explanation: B i.e. Hypocapnia